A child patient suspected of leukemia is suffering from
periapical abscess line of treatment is
1. Endodontic therapy
2. Extraction of the involved tooth
3. Obtain a blood count before extraction
4. Obtain medical consultation before treatment

Correct answer: 4. Obtain medical consultation before treatment